Burger disease is-
1. Migratory thrombophlebitis
2. Thrombangitis obiiterence
3. Superficial thrombophlebitis
4. Causalgia

Correct answer: 2. Thrombangitis obiiterence

Explanation: Ans. is 'b' i.e., Thrombangitis obliterans o Buergers ds is characterized by occlusive disease of the small and medium sized arteries* (plantars, tibialis and radial artery), thrombophlebitis of the superficial or deep veins and Raymonds syndrome.o As Buergers disease involves the arteries beyond the popliteal artery, there would be no help from a femoropopliteal bypass. It is helpful if the artery is blocked proximally as in athesosclerosis.o Not only femore-popliteal bypass operation but any vascular reconstructive operation is not feasible in Buergers ds, bedcause the involvement of the small vessels of the extremity makes it difficult to locate suitable outflow sites for bypass grafts.o Treatment of Buergers disease# Strict smoking cessationSmoking cessation reduces symptoms and decreases the risk for major amputation.# Sympathectomy-is used with some success but the role is not clear.# Amputation-is the only way out when gangrene occurs.# Free omental graft-Microvascular transplatation of free omental grafts to areas not amenable to arterial reconstruction has been successfully tried in some patients.